Metoclopramide is useful for all except -
1. Motion sickness
2. Chemotherapy induced vomiting
3. Antiemetic
4. All

Correct answer: 1. Motion sickness

Explanation: Ans. is 'a' i.e., Motion sickness o Metoclopramide can be used as an antiemetic in postoperative, drug induced, disease associated, radiation sickness, but is less effective in motion sickness. o It should not be used to augment lactation. Though the amount secreted in milk is small, but suckling infant may develop loose motions, dystonia, myoclonus.